Keisselbach's plexus is present at -
1. Medial wall of nasopharynx
2. Lateral wall of nasal cavity
3. Anteroinferior part of nasal septum
4. Posterior part of the nasal cavity

Correct answer: 3. Anteroinferior part of nasal septum

Explanation: Ans 'c' i.e., Anteroinferior part of nasal septum o The anteroinferior part or the vestibule of the nasal septum contains anastomoses between the septal branches of the following 4 arteries :1. Anterior ethmoidal arterySphenopalatine arteryGreater palatine arterySuperior labial artery (Branch of facial )o These form a large capillary network called the Kiesselbach's plexus. This is a common site of anterior epistaxis and is known as the Little's area.